All of the following are true statements except
1. Anosmia is no smell
2. Parosmia is abnormal smell
3. Cacosmia is perverted smell
4. Parosmia is normal smell

Correct answer: 4. Parosmia is normal smell

Explanation: (D) Parosmia is normal smell > Abnormalities of olfaction include anosmia (absence of the sense of smell), hyposmia (diminished olfactory sensitivity), and dysosmia (distorted sense of smell).